Receptive relaxation is a characteristic of the following part of gastro intestinal tract:
1. Stomach
2. Colon
3. Jejunum
4. Rectum

Correct answer: 1. Stomach

Explanation: The ability of the stomach to relax as its volume increases is essential to its reservoir function. The process by which this occurs is referred to as receptive relaxation, and results in a drop in gastric pressure immediately after eating that persists until all solids have been emptied from the stomach. It has two phases: True receptive relaxation, which is a response that occurs coincident with swallowing. Accommodation, a relaxation of the stomach that is mediated by the activation of gastric mechanoreceptors that are activated as the wall of the stomach is stretched by the entry of the meal. Ref: Barrett K.E., Barman S.M., Boitano S., Brooks H.L. (2012). Chapter 27. Gastrointestinal Motility. In K.E. Barrett, S.M. Barman, S. Boitano, H.L. Brooks (Eds), Ganong's Review of Medical Physiology, 24e.